Gold standard test for investigation for chronic Pancreatitis detection of early pathologies and simultaneous treatment possible (e.g., duct dilation, stent insertion) Ductal stones, seen as filling defects "Chain of lakes" or "string of pearls" appearance (characteristic feature) Irregularity, dilation of the main pancreatic duct
1. MRI
2. ERCP
3. Pancreatic function tests
4. Fecal fat estimation

Correct answer: 2. ERCP

Explanation: ERCP - Considered the gold standard for the diagnosis of CP, the advent of secretion MRCP and EUS have significantly decreased its role as a diagnostic test ERCP : detection of early pathologies and simultaneous treatment possible (e.g., duct dilation, stent insertion) Ductal stones, seen as filling defects"Chain of lakes" or "string of pearls" appearance (characteristic feature)Irregularity, dilation of the main pancreatic duct Ref: Sabiston 20th edition Pgno :1535